Which of the following measurement at pelvic inlet can be assessed directly :
1. Obstetric conjugate
2. Diagonal conjugate
3. Anatomical conjugate
4. Bisspinous conjugate

Correct answer: 2. Diagonal conjugate

Explanation: Diagonal conjugate